Albumin is exclusively synthesized by
1. Liver
2. Kidneys
3. Spleen
4. Skeletal muscle

Correct answer: 1. Liver

Explanation: Total serum protein and albumin Measure of the biosynthetic function of the liver, as the liver is the primary site of synthesis of most plasma proteins. Roughly 70% to 80% of all plasma proteins are synthesized in the liver. These include albumin, fibrinogen, transferrin, and most components of the complement and blood coagulation cascade with the exception of von Willebrand factor, which is synthesized in the vascular endothelium. Ref: Biochemistry by U. Satyanarayana 3rd edition Pgno : 183